A woman complains of coloured halos around lights in the evening, with nausea and vomiting, IOP is normal; Diagnosis is:
1. Incipient stage glaucoma open angle
2. Prodromal stage, closed angle glaucoma
3. Migraine
4. Raised ICT

Correct answer: 2. Prodromal stage, closed angle glaucoma

Explanation: The patient in question presents with symptoms suggestive of glaucoma, but a normal IOP on examination. This is therefore most likely a case of Prodromal stage of Glaucoma. Ref: Concise Textbook Of Ophthalmology By Sharma, Page119 ; Clinical Ophthalmology By Kanski, 3rd Edition, Page 255 and 4th Edition, Page 213 ; Comprehensive Ophthalmology A K Khurana 4th Edition, Page 225